Best fertility result in?
1. Bicornuate
2. Unicornuate
3. Septate
4. Arcuate

Correct answer: 4. Arcuate

Explanation: Ans. D. Arcuate Delivery rate and uterine malformationsThe overall term delivery rate with uterine malformations is poorer and obstetrical complications are more common.Arcuate uterus has the best reproductive outcome with the live birth rates similar to normal uteri.